All are indicators of goal 6 of Millennium Development Goal, EXCEPT:
1. HIV prevalence among women aged 15-49 years
2. Number of children orphaned by HIV/AIDS
3. Prevalence and death rates of tuberculosis
4. Prevalence and death rates of malaria

Correct answer: 1. HIV prevalence among women aged 15-49 years

Explanation: Goal: 6. Combat HIV/AIDS, malaria and other diseases 18. HIV prevalence among young people aged 15 to 24 years 19. Condom use rate of the contraceptive prevalence rate 20. Number of children orphaned by HIV/AIDS 21. Prevalence and death rates associated with malaria 22. Proportion of population in malaria-risk areas using effective malaria prevention and treatment measures 23. Prevalence and death rates associated with tuberculosis 24. Proportion of tuberculosis cases detected and cured under Directly Observed Treatment, Short-course (DOTS) Ref: Park's textbook of Preventive and Social Medicine, 21st edition, page-27.